Commonest congenital lesion complicated by infective endocarditis is
1. ASD
2. VSD
3. PDA
4. TOF

Correct answer: 2. VSD

Explanation: VSD is the commonest congenital lesion complicated by infective endocarditis. The incidence of infective endocarditis has been estimated as 2/100 patients in a follow up of ten years, that is 1/500 patient years. The incidence of infective endocarditis is small enough that it is not an indication for operation in small defects. However, it is important to emphasize good oral-dental hygiene in all patients with VSD. Reference: Essential Paediatrics; O.P. Ghai; Page no: 417